Cell mediated hypersensitivity is:
1. Type I
2. Type II
3. Type III
4. Type IV

Correct answer: 4. Type IV

Explanation: The hypersensitivity reactions have been given the following names:

Immediate or (type I) hypersensitivity.
Antibody-mediated or (type II) hypersensitivity.
Immune complex–mediated or (type III) hypersensitivity.
Cell-mediated or (type IV) hypersensitivity.